Gonococcal vaginitis occurs in :
1. Adults
2. Children
3. Infants
4. Adolescents

Correct answer: 2. Children

Explanation: Premenarchal girls are vulnerable to vaginal infection due to : Very low circulatory estrogen leading to Lack of stratification of vaginal epithelium Lack of glycogen and doderlein's bacillus Alkaline vaginal PH Ref: D.C.DUTTA'S TEXTBOOKOF GYNECOLOGY; 6th edition; Pg no:544